Most common lung cancer seen in patients of asbestose related lung disease?
1. Adenocarcinoma of lung
2. Mesothelioma
3. Large cell cancer
4. Small cell cancer

Correct answer: 1. Adenocarcinoma of lung

Explanation: Asbestos Related Lung Diseases Pulmonary Pleural Non Malignant Malignant Non Malignant Malignant Diffuse Interstitial Fibrosis Bronchogenic Carcinoma Adenocarcinoma has the highest incidence Pleural plaques Diffuse pleural thickening Acute benign pleural effusion Round atelectasis Mesothelioma Both pleural and peritoneal Mesotheliomas Adenocarcinoma of lung: MC lung cancer commonly seen in females and non smoker. Small cell cancer- Micrometastasis, Azzopardi phenomenon. Large cell cancer - Estrogen| : Gynaecomastia. Mesothelioma : Pleural Plaque/ Calcification.